Sensory Nerve supply of Anterior 2/3rd tongue
1. Lingual Nerve
2. Maxillary Nerve
3. Glossop haryngeal Nerve
4. Chorda typmani

Correct answer: 1. Lingual Nerve